Chromosome involved in pathogenesis of MEN 4?
1. 10
2. 11
3. 12
4. 13

Correct answer: 3. 12

Explanation: Chromosome aberrations in MEN MEN 1 11q13 MEN 2 10 ( RET proto-oncogene) MEN 3 10 ( RET Proto-oncogene) MEN 4 12p13